Howel-Jolly bodies may be seen after
1. Hepatectomy
2. Splenectomy
3. Pancreatectomy
4. Cholecystectomy

Correct answer: 2. Splenectomy

Explanation: Howell-Jolly bodies are purple nuclear remnants, usually found singly, and are larger than basophilic stippling. They are present in megaloblastic anaemia and after splenectomy TEXTBOOK OF PATHOLOGY 6TH EDITION HARSH MOHAN PAGE NO:293 IMAGE REF: